Skin pigmentation resembling 'rail road tracks' seen in
1. Marijuana
2. Opium
3. Barbiturates
4. Alcohol

Correct answer: 2. Opium

Explanation: Chronic opium poisoning They have dry skin with needle puncture marks and sometimes masked by tattooing. Abscesses and thrombosed veins may be seen. I. V users may develop pigmentation and scars on front of the elbow called railroad tracks. Drug addicts may tattoo this area to mask the scars. Ref: FORENSIC MEDICINE AND TOXICOLOGY Dr PC IGNATIUS THIRD EDITION PAGE 489